A 50 year old male is posted for elective laparoscopic cholecystectomy. No history of comorbidities. His surgery is scheduled at 2 PM on the day of surgery. Which of the following is against the ASA guidelines for preoperative fasting
1. Coffee at 5:30 AM
2. Orange juice at 7:30 AM
3. Pancakes at 10:00 AM
4. Water at 12:00 PM

Correct answer: 3. Pancakes at 10:00 AM

Explanation: The patient should be nil per orally for

8 hours for solid food
6 hours for liquid and semisolid food
2 hours for clear liquid.